Which is the common site of injection of islet cells in islet cell transplant for diabetes mellitus?
1. Pelvis
2. Portal vein
3. Pancreas
4. Forearm muscles

Correct answer: 2. Portal vein

Explanation: Islet cell transplantation involves the extraction of islets of Langerhans from organ donors through a complex purification process. These are the cells responsible for the production of insulin. These cells are then injected into the recipient, usually into the portal vein. They then engraft into the parenchyma of the liver and secrete insulin.